Which of the following is not true about phenytoin ?
1. It follows saturation kinetics
2. It causes hyperglycemia
3. It is teratogenic
4. It does not block insulin release

Correct answer: 4. It does not block insulin release

Explanation: Ans. is 'd' i.e., It does not block insulin release Phenytoin inhibits insulin release which results in hyperglycemia. Phenytoin follows saturation kinetics i.e. at lower concentrations it has first order kinetic, whereas at higher concentrations kinetics becomes zero order due to saturation of metabolic pathways. Phenytoin is a known teratogen, produces fetal hydantoin syndrome.